MC cancer due to Radiation:
1. Leukaemia
2. Bronchogenic Ca
3. Thyroid Ca
4. Breast cancer

Correct answer: 1. Leukaemia

Explanation: Ans: A (Leukaemia) cancer in many different species of animal and in almost all part of the body. It is one of the few scientifically proven carcinogen (cancer-causing agents) in human beings, although it appears to be relatively weak carcinogen compared to many chemical agents Organs differ in their sensitively the effect of radiation. The thyroid glands end bone marrow are most sensitive to radiation, while the kidney, bladder and ovary seem to be least affected. Some forms of leukemia appear to be the most common radiation induced cancers. Development of a second neoplasm is another risk factor of the therapeutic radiation that generally occurs many year after radiation exposure. Depending on the irradiated field, the risk of gliomas, meningiomas, sarcomas & thyroid cancer is increased - Harrison 17th/ 2610 Irradiation cause thyroid ca, sarcoma, breast Ca leukoencephualopathy. Danhert Radiology Review Manual 5th/ 395, 303, 555, 148 Radiation induced second cancer | | | | Most common Head neck irradiation Women<30 yrs receiving mantle field radiation therapy (for eg. Hodgkin's ds) | | | | Leukemia^ Thyroid cancer | | Breast cancer